Which is most comonly implicated in genital (vulval) warts ?
1. HPV 16
2. HPV 18
3. HPV 31
4. HPV 6

Correct answer: 4. HPV 6